Enteric fever is caused by -
1. S typhi
2. Sparatyphi A
3. S paratyphi C
4. All of the above

Correct answer: 4. All of the above

Explanation: Ans. is 'd' i.e., AH of the above Enteric fevero The term enteric fever includes typhoid fever caused by S.typhi and paratyphoid fever caused by S. paratyphi A, B and C.o The ability to resist intracellular killing and to multiply with in these cells is a measure of virulence of salmonella.o The incubation period for S. typhi ranges from 3 to 2i days.o Most prominant symptom of this systemic infection is prolonged fever. (Step-ladder pyrexia).o Early physical findings are - Rash (rose spot), Relative bradycardia, Hepatosplenomegaly, Epistaxis.o Complications occur in 3rd and 4th weeks - Intestinal perforation and GI hemorrhage are the two most common complications.